Gottron papules are seen in-
1. Dermatomyositis
2. Inclusion body myositis
3. Polymyositis
4. DLE

Correct answer: 1. Dermatomyositis

Explanation: Ans. is `a' i.e., Dermatomyositis